Chest X-ray shows miliary mottling in all, except -
1. Carcinoma prostate
2. Sarcoidosis
3. Hemosiderosis
4. Histiocytosis

Correct answer: 1. Carcinoma prostate